Asynchronous cadioversion is given in :
1. AF
2. Ventricular fibrillation
3. Atrial flutter
4. Ventricular tachycarida

Correct answer: 2. Ventricular fibrillation

Explanation: Ans. is 'b' Ventricular fibrillation Electrical cardioversion and defibrillation are the most reliable methods for termination of arrhythmias. These methods depolarize all or at least a large portion of excitable myocardium in a near homogenous fashion, the electrical shock can interrupt reentrant arrhythmias.Energy is delivered synchronously with the QRS complex for all arrhythmias except ventricular flutter and ventricular fibrillation.